The definitive diagnosis of Pneumocystis carinii pneumonia is -
1. Serological test
2. Chest X-ray
3. Finding cysts in tissue specimens
4. ) CT scan of thorax

Correct answer: 3. Finding cysts in tissue specimens

Explanation: Its life cycle begins when cysts rupture and release sporozoites, which mature into trophozoites that eventually form cysts. The diagnostic methods for P. carinii pneumonia (PCP) have progressed from open lung biopsy to bronchoalveolar lavage (BAL) and induced sputum analysis . Ref Harrison20th edition pg 1056